Drugs commonly used in Non-Hodgkin lymphoma except
1. Doxorubicin
2. Cyclophosphamide
3. Vincristine
4. Cisplatin

Correct answer: 4. Cisplatin

Explanation: Combination chemotherapy is the treatment standard for patients with diffuse non-Hodgkin's lymphoma. The anthracycline-containing regimen CHOP (cyclophosphamide, doxorubicin, vincristine, and prednisone) has been considered the best treatment in terms of initial therapyHodgkin's lymphoma - MOPP (mechlorethamine, vincristine, procarbazine, and prednisone) regimenMore recently, ABVD (doxorubicin, bleomycin, vinblastine, and dacarbazine) has been shown to be more effective and less toxic than MOPPKatzung 12e pg: 970